Which of the following antitubercular drugs is contraindicated in pregnancy?
1. Isoniazid
2. Rifampicin
3. Ethambutol
4. Streptomycin

Correct answer: 4. Streptomycin

Explanation: Streptomycin